Isthmus of thyroid gland lies at which level?
1. C2
2. C4
3. C5
4. C7

Correct answer: 4. C7

Explanation: Isthmus of thyroid gland lies at C7 level